FALSE about lepromin test is:
1. It is performed by injecting 0.1 ml of lepromin intradermally
2. If diameter of redness >10 mm, test is positive
3. It is a diagnostic test
4. The test is of great value in estimating prognosis in leprosy cases of all types

Correct answer: 3. It is a diagnostic test

Explanation: The test is performed by injecting intradermally 0.1 ml of lepromin into the inner aspect of the forearm of the individual. As a routine, the reaction is read at 48 hours and 21 days. Value of the lepromin test: Lepromin test is not a diagnostic test. The two drawbacks prevent iti being used for diagnosis are: positive results in non-cases, and negative results in lepromatous and near-lepromatous cases. The test has been generally accepted as a useful tool in evaluating the immune status of leprosy patients. It is of value in confirming the results of classification of leprosy on clinical and bacteriological grounds. The test is also of great value in estimating the prognosis in cases of leprosy of all types. Ref: Park's textbook of Preventive and Social Medicine, 21stedition, page-294